Postoperative nausea and vomiting are uncommon with
1. Thiopentone
2. Propofol
3. Etomidate
4. All the above

Correct answer: 2. Propofol

Explanation: Propofol is antiemetic. Antiemetic effect - The postulated mechanisms include antidopaminergic activity, depressant effect on the chemoreceptor trigger zone and vagal nuclei, decreased release of glutamate and aspartate in the olfacto0ry cortex and reduction of serotonin concentration in area postrema.